A 9 year old child disturbs other people, is destructive interferes when two people are talking, does not follow instructions and cannot wait for his turn while playing a game. He is likely to be suffering from –
1. Emotional disorders
2. Behavioural problems
3. No disorder
4. Attention deficit hyperactive disroder

Correct answer: 4. Attention deficit hyperactive disroder